tRNA molecules vary in length from
1. 10-24 nucleotides
2. 24-46 nucleotides
3. 74-95 nucleotides
4. 96-120 nucleotides

Correct answer: 3. 74-95 nucleotides

Explanation: tRNA molecules vary in length from 74 to 95 nucleotides, like many other RNAs, are also generated by nuclear processing of a precursor molecule.Ref: Harper's Biochemistry; 30th edition; Chapter 34; Nucleic Acid Structure & Function